Corneal sensations are diminished in:
1. Herpes simplex
2. Conjunctivitis
3. Fungal infections
4. Marginal keratitis

Correct answer: 1. Herpes simplex

Explanation: Herpes simplex infection is a common cause of corneal sensory loss, although less severe than in keratitis caused by reactivation of varicella-zoster virus. Some patients with active HSV keratitis present with sensations of spontaneous pain, discomfort, and dryness.